True about Trichobezors except -
1. It is caused by Trichuris
2. It is a psychatric manifestation
3. Ball of hairs in the stomach
4. Pulling the hair & sucking of hair is usually seen

Correct answer: 1. It is caused by Trichuris